Replacement & periodic examination in radiation industary is recommended ?
1. Every month
2. Every 2 months
3. Every 6 months
4. Every year

Correct answer: 2. Every 2 months

Explanation: Ans. is 'b' i.e., Every 2 months Preventive measures in radiation industeriesInhalation, swallowing or direct contact with the skin should be avoided.In case of X-rays, shielding should be used of such thickness and of such material as to reduce the exposure below allowable exposures.The employees should be monitored at intervals not exceeding 6 months by use of the filf badge of pocket electrometer devices.Suitable protective clothing to prevent contact with harmful material should be used.Adequate ventilation of work-place is necessayr to prevent inhalation of harmful gases and dusts.Replacement and periodic examination of workers should be done every 2 months. If harmful effects are found, the employees should be transferred to work not involving exposure to radiation.Pregnant women should not be allowed to work in places where there is continuous exposure.